What is meant by suppositions child –
1. Second born of a twin pregnancy
2. Child born out of wedlock
3. Child rear up by a woman & She claims the child
4. Heterozygous mother & father

Correct answer: 3. Child rear up by a woman & She claims the child

Explanation: Suppositious child 

Suppositious child means a factitious child.
Women may pretend pregnancy as well as delivery & later produces a child as if it is her own.
She may substitute a living male child for a dead child or for a living female child born of her.